Treatment of Red degeneration of fibroid during pregnancy :
1. Analgesics
2. Laparotomy
3. Termination of pregnancy
4. Removal at cesarean section

Correct answer: 1. Analgesics

Explanation: Ans. is a i.e. Analgesics Management of Red degeneration of fibroid. Patient is managed conservatively.deg Patient is put to bed rest and given analgesicsdeg (to relieve the pain), sedativesdeg and if required antibiotics.deg If because of mistaken diagnosis iaparotomy is done, abdomen is closed without doing anything. Myomectomy should never be contemplated during caesarean section as vascularity of fibroid is increased during pregnancy (due to increased estrogen) leading to increased blood loss during cesarean section.deg For more information about Red degeneration, refer answer 8